Radioiodine 131 half life:
1. 8 days
2. 15.7 days
3. 74.3 days
4. 13 hours

Correct answer: 1. 8 days

Explanation: Ans. (a) 8 daysRef: Basics radiological physics 2nd ed. /180* Iridium-192, emits gamma rays. It has energy of 0.4MeV.* Tl/2 of iridium 192: 74 daysImportant Half Life of Radionuclides* Gold-198: 2.7 days* Iodine- 123: 13.3 hours* Iodine-131: 8 days* Phosphorus-32: 14.3 days* Yttrium 90: 64 hours* Cobalt-60: 5.26 years* Caesium-137: 30 years* Radium-226: 1620 years